Treatment of acute lymphangitis requires:
1. Antibiotic and rest
2. Immediate lymphangiography
3. Immediate multiple incisions
4. No special treatment

Correct answer: 1. Antibiotic and rest

Explanation: Treatment of acute lymphangitis requires antibiotic and rest.